Mediators of inflammation are all,except :
1. TNF
2. IFN
3. Prostaglandins /Interleukins
4. Myeloperoxidase

Correct answer: 4. Myeloperoxidase

Explanation: . Myeloperoxidase